Injury to the male urethra below the perineal membrane causes urine to accumulate in
1. Superficial perineal pouch
2. Deep perineal pouch
3. Space of retzius
4. Pouch of douglas

Correct answer: 1. Superficial perineal pouch

Explanation: Question talks about injury to bulbar urethra as in falling astride. Extravastion of urine is common in these cases. Extravasated urine collects in the superficial perineal space, passing into the penis as well as the scrotum and lower anterior abdominal wall. Source: Bailey and love 26th edition Pg 1361